All are true about otosclerosis excepta) Increased incidence in femaleb) Sensorineural deafnessc) Irreversible loss of hearingd) Carhart's notch at 2000 Hze) Family history positive
1. a
2. c
3. ac
4. bc

Correct answer: 4. bc

Explanation: In otosclerosis—50% cases have positive family history.
Females are affected more than males.
Bilateral conductive deafness seen in otosclerosis is not irreversible as it can be successfully treated by stapedectomy / Stapedotomy.
Sensorineural hearing loss occurs when later in the course of time osteosclerotic focus reaches the cochlear endosteum but actually most common hearing loss seen is conductive type.Q
Carharts notch is seen in bone conduction curve at 2000 Hz.